Atypical pneumonia is caused by all except
1. Mycoplasma
2. Adeno virus
3. Chlamydia
4. Hemophilus

Correct answer: 4. Hemophilus

Explanation: Haemophilus influenza causes lobar pneumonia .it is one of the frequent cause of fatal pneumonia in the pandemic of influenza in 1918 _1919 where as atypical pneumonia is not as serious as typical pneumonia Ref:anantnarayan and paniker's microbiology 10th edition